Dinesh, a 56 yr aged man presents with complaints of slowness of movements, postural instability, tremors, rigidity and memory loss. Most likely diagnosis is :
1. Multi infarct dementia
2. Alzheimer's disease
3. Parkinsonism
4. None of the above

Correct answer: 3. Parkinsonism

Explanation: Answer is C (Parkinsonism): Patient is present with the characteristic triad of Parkinsonism. Triad of Parkinsonism. Rigidity Bradykinesia Tremor at rest, A characteristic disturbance of gait and posture is seen - this explains slowness of movements A depressed mood is common and an impairment of cognitive functions sometimes amounting to frank dementia is frequently evident in advanced cases - this explains the memory loss present in the patient Parkinsonism is caused by a disturbance in substantia nigra.Q Tremor is typically at rest Q with frequency 4 - 6 Hz.Q Tendon reflexes are unaltered Q (Normal deep tendon reflexes)Q Plantar reflex is typically flexor Q (Negative Babiniski) Q Gait is festinating gait Q Small handwriting Q Normal intelligence Q Emotional ability Q Masked expressionless facies Q Slurred indistinct speechQ